"Signet ring appearance” on CT is seen in
1. Bronchitis
2. Emplysema
3. Bronchiectasis
4. Bronchogenic Carcinoma

Correct answer: 3. Bronchiectasis

Explanation: Bronchiectasis may result from an infection or medical condition, such as pneumonia or cystic fibrosis. Mucus builds up and breeds bacteria, causing frequent infections.
Symptoms include a daily cough that occurs over months or years and daily production of large amounts of phlegm.
Treatment may include physiotherapy and medication, such as antibiotics and drugs to help loosen mucus.